Which of the following changes in pregnancy needs further evaluation ?
1. Ventricular premature contractions
2. 15deg Left Axis Deviation
3. Cardiomegaly
4. Mild ST changes in inferior leads

Correct answer: 3. Cardiomegaly

Explanation: Atrial and ventricular premature contractions ,15deg Left Axis Deviation and mild ST changes in inferior leads are considered normal during pregnancy. Criteria for diagnosing Heart Disease in Pregnancy (Finding Suggestive of Heart Disease in Pregnancy). Symptoms: Progressive dyspnea or orthopnea. Nocturnal cough Hemoptysis Syncope Chest pain Clinical Findings: Cyanosis Clubbing of fingers Persistent neck vein distention Systolic murmur grade 3/6 or greater Diastolic murmur Cardiomegaly Persistant tachycardia nd/ or arrythmiaa Persistant split S2 Presence of S4 Findings suggestive of Pulmonary hypertension